Which of the following is the only reversible cataract –
1. Senile Cataract
2. Cataract in Galactosemia
3. Congenital Cataract
4. None

Correct answer: 2. Cataract in Galactosemia

Explanation: "Cataract associated with galactosemia is the only reversible cataract"... Atlas of Ophthalmology